Structures lying deep to posterior belly of digastric are all except -
1. Retromandibular vein
2. Hypoglossal nerve
3. Hyoglossus muscle
4. Occipital artery

Correct answer: 1. Retromandibular vein